Features of Paget’s disease can be:
1. Affecting the skull generally leads to a progressive increase in circumference of the head. (osteoporosis circumscripta)
2. Jigsaw puzzle appearance of the bone
3. Leontiasis ossea.
4. All of the above.

Correct answer: 4. All of the above.